What would be the first line of treatment is a patient who develops ventricular fibrillation after intravenous injection of potassium chloride-
1. Cardiac massage
2. I.V Adrenaline
3. Defibrillation
4. IPPV

Correct answer: 3. Defibrillation

Explanation: Answer is C (Defibrillation ) Immediate Defibrillation is the resuscitative measure of choice in all patients in cardiac arrest due to ventricular fibrillation on ventricular tachycardia (Shockable Rhythms) irrespective of the cause. Note The speed with which defibrillation /cardioversion is carried out is the most important determinant for the success of resuscitation. Defibrillation should be carried out immediately (as early as possible), even before intubation or insertion of an intravenous device.